Inflammatory enlargement of deep lobe of parotidgland is seen in -
1. Post pharyngeal wall
2. Supratonsillar area
3. Anterior tonsillar pillar
4. Tonsillar fossa/bed

Correct answer: 4. Tonsillar fossa/bed

Explanation: Parotid gland is related to lateral pharyngeal wall and Tonsillar fossa is present in lateral pharyngeal wall.